Beta-2 microglobulin is used as a tumor marker for which of the following diseases?
1. Multiple myeloma
2. Acute lymphoblastic leukemia
3. Hairy cell leukemia
4. Lymphoplasmacytic lymphoma

Correct answer: 1. Multiple myeloma

Explanation: Tumor marker for multiple myeloma is Serum beta-2 microglobulin Serum beta-2 microglobulin level <3.5mg/L indicates better prognosis